Drug of choice for acute PSVT
1. Esmolol
2. Adenosine
3. Digoxin
4. Verapamil

Correct answer: 2. Adenosine

Explanation: Adenosine is used for acute termination of PSVT Verapamil and esmolol are used as an alternate 2nd choice of drugsRef: Katzung 11th ed pg 243